Bone loss associated with Trauma from occlusion is:
1. Notching
2. Vertical
3. Horizontal
4. Cystic

Correct answer: 2. Vertical